Internal jugular vein is a continuation of:
1. Common Facial Vein
2. External Jugular Vein
3. Sigmoid Sinus
4. Superior Petrosal Sinus

Correct answer: 3. Sigmoid Sinus